A 53 year old male man cpmplains of pain around his cheek and neck. On examination there is pus pouring out from his Stenson's duct. Which gland is involved?
1. Parotid gland
2. Submandibular gland
3. Sublingual Gland
4. Lacrimal Gland

Correct answer: 1. Parotid gland

Explanation: Ans. is 'a' i.e., Parotid gland STENSONDUCTPAROTID GLANDThe exit of the parotid ducts can be felt as small bumps (Papillae) on both sides of the mouth, and are usually positioned next to the maxillary second molars.WHARTONDUCTSUBMANDIBULARGLANDIt then passes between the sublingual gland and the genioglossus and opens by a narrow opening on the summit of a small papilla at the side of the frenulum of the tongue.